Which one of the following reactions has flavin mononucleotide (FMN) as a coenzyme?
1. Amino acid oxidation reaction
2. Conversion of xanthine to uric acid
3. Conversion of succinate to fumarate
4. Conversion of pyruave to acetyl CoA

Correct answer: 1. Amino acid oxidation reaction

Explanation: Flavin mononucleotide (FMN), or riboflavin-5'-phosphate, is a biomolecule produced from riboflavin (vitamin B2) by the enzyme riboflavin kinase and functions as prosthetic group of various oxidoreductases including NADH dehydrogenase as well as cofactor in biological blue-light photoreceptors. During the catalytic cycle, a reversible interconversion of the oxidized (FMN), semiquinone (FMNH*) and reduced (FMNH2) forms occur in the various oxidoreductases. FMN is a stronger oxidizing agent than NAD and is particularly useful because it can take part in both one- and two-electron transfers. Amino acid degradative pathways are quite similar in most organisms. The focus of this chapter is on vertebrates because amino acid catabolism has received the most attention in these organisms. As is the case for sugar and fatty acid catabolic pathways, the processes of amino acid degradation converge on the central catabolic pathways for carbon metabolism. The carbon skeletons of the amino acids generally find their way to the citric acid cycle, and from there they are either oxidized to produce chemical energy or funneled into gluconeogenesis. In some cases, the reaction pathways closely parallel steps in the catabolism of fatty acids